Sodium-nitroprusside acts by activation of:
1. Guanylate cyclase
2. K+ channels
3. Ca++ channels
4. Cyclic AMP

Correct answer: 1. Guanylate cyclase

Explanation: Ans. (A) Guanylate cyclase(Ref: KDT 8th/e p613)Nitroprusside generates NO that relaxes vascular smooth muscles by activating guanylate cyclase.